Most common cardiac anamoly associated with Congenital Rubella Syndrome among the following is
1. Ventricular septal defect
2. Pulmonary stenosis
3. Atrial septal defect
4. Truncus arteriosus

Correct answer: 2. Pulmonary stenosis

Explanation: Most common cardiac anamoly associated with Congenital Rubella Syndrome is in the order patent ductus arteriosus > pulmonary stenosis > Ventricular septal defect.